Antalgic hip gait is related to which of the following-
1. Waddling gait
2. Trendelenberg gait
3. Painful hip gait
4. Short leg gait

Correct answer: 3. Painful hip gait

Explanation: *Antalgic gait is a limp adopted so as to avoid pain on weight bearing structure, characterized by very short stance phase. *Stance phase of the gait is shortened on the injured side to alleviate pain experienced when bearing weight on that side. Ref: Tachdjian's Pediatric Orthopaedics 3rd/e p.83